Thermogenin is present in ?
1. Cytoplasm
2. Mitochondria
3. Ribosome
4. Nucleus

Correct answer: 2. Mitochondria

Explanation: Ans. is 'b' i.e.,Mitochondria Thermogenin is found in mitochondria of brown adipose tissue.Thermogenin is an uncoupler protein present in brown adipose tissue (brown fat).It uncouples oxidation and phosphorylation by acting as a channel for Fl+ ions so that hydrogen ion gradient cannot build up.Oxidation occuring in brown adipose tissue without generation of ATP results in production of heat.